What is the use of Murphy's eye present on the Endotracheal tube
1. It is alternate pathway for ventilation
2. It decreases the weight of tube
3. It is used for suctioning of respiratory treat along with ventilation
4. All of the above

Correct answer: 1. It is alternate pathway for ventilation

Explanation: Murphy's eye is seen in the endotracheal tube (ETT). Murphy's eye refers to the distal opening in the side wall of the ETT. If the distal end of the lumen of the tube is blocked by secretions, Murphy's eye serves to provide an alternate route for ventilation.